A 52 year old man comes with jaundice and extra pyramidal symptoms. On ophthalmic examination, the above finding is noted. The treatment is :
1. Calcium gluconate
2. Pencillamine
3. Calcium edentate
4. Desferrioxamine

Correct answer: 2. Pencillamine

Explanation: The picture shows KF ring in eye, a feature of Wilsons disease. * KF ring : Brownish - yellow ring visible around the corneo - sclera junction (limbus) * Consists of copper deposits in Descemet's membrane, extending into the trabecular meshwork * Sign of Wilson's disease * Oral Pencillamine is used in the treatment.